What percentage of the infected patients will eventually develop to active TB in their lifetime?
1. 5%
2. 10%
3. 15%
4. 20%

Correct answer: 2. 10%

Explanation: Overall nearly 10% of infected persons will eventually develop active TB in their lifetime, with half of them doing so during the first year after infection. Reference: Harrisons Principles of Internal Medicine, 18th Edition, Page 1342